The deficiency of thiamine can be identified by measuring the red cell:
1. Transketolase
2. Transaldolase
3. Alpha ketoglutarate dehydrogenase
4. Pyruvate dehydrogenase

Correct answer: 1. Transketolase